All of these fluids are isotonic except
1. 0.9% Normal saline
2. 5% dextrose
3. Ringer lactate
4. 3% Normal saline

Correct answer: 4. 3% Normal saline

Explanation: Isotonic fluids are 0.9% Normal saline, 5% dextrose, Ringer lactate.